'Gut tube is developed from which germ layer
1. Ectoderm
2. Mesoderm
3. Endoderm
4. Neuroectoderm

Correct answer: 3. Endoderm

Explanation: The gut is derived from the yolk sac, and hence is endodermal in origin.